Which is most likely to be increased in Vit K deficiency -
1. P. T. T.
2. P.T.
3. Platelet count
4. Fibrinogen time

Correct answer: 2. P.T.